Which of following prostaglandin induces aromatase activity in endometrial stromal cells
1. PGE1
2. PGF2 α
3. PGE2
4. PGD2

Correct answer: 3. PGE2

Explanation: PGE2 is most potent inducer of aromatase activity in endometrial stromal cells.